Nasal angiofibroma is seen in which age?
1. Adolosent male
2. Adult male
3. Elderly male
4. Elderly female

Correct answer: 1. Adolosent male

Explanation: Ans. is 'a' i.e., Adolosent male Nasopharyngeal fibroma occurs exclusively in male, in age 7-19 years.